Rigler's triad consists of all except
1. Intestinal obstruction
2. Gas in bile duct
3. Cholangitis
4. Ectopic gallstone

Correct answer: 3. Cholangitis

Explanation: Gall stone ileus Passage of stone through a spontaneous biliary-enteric fistula leading to a mechanical bowel obstruction Clinical features Rigler's triad : Classic plain abdominal film triad of small bowel obstruction, pneumobilia & ectopic gallstone Ref: Sabiston 20th edition Pgno :1506-1507